An endocrinologist decided to give a 7 yr old boy testosterone therapy and continued it till puberty. This therapy is likely to:
1. Increase adult stature
2. Reduce adult stature
3. Have no effect on adult stature
4. Cause hypertrophy of penis

Correct answer: 2. Reduce adult stature

Explanation: (Ref: KDT 6/e p291) Testosterone causes fusion of epiphyses and can result in reduction of adult stature.